Which of the following is false regarding apoptosis?
1. Cell size is shrunken
2. Plasma membrane remains intact
3. It is always pathological
4. Does not ellicit inflammation

Correct answer: 3. It is always pathological

Explanation: Apoptosis can be both physiological and pathological.
Necrosis is always pathological.